Lac operon transcription is induced by
1. Glucose
2. Glucose with inducer
3. Inducer without glucose
4. All

Correct answer: 3. Inducer without glucose

Explanation: C i.e. Inducer without glucose